Use of oral contraceptives increases the risk of which cancer -
1. Colon
2. Ovary
3. Breast
4. All of the above

Correct answer: 3. Breast

Explanation: Ans. is 'c' i.e., breast * Important adverse effects of OCPs are: (1) Nausea, vomiting, headache (worsening of migraine), (2) breakthrough bleeding, (3) mastalgia, (4) weight gain, (5) acne and hirsutism, (6) cholasma and pruritis, (7) carbohydrate intolerance, (8) leg vein and pulmonary thrombosis, (9) coronary and cerebral thrombosis (MI & stroke), (10) hypertension, (11) increased risk of breast and cervical carcinoma, (12) benign hepatoma, (13) gall stones, (14) precipitation of acute intermittent porphyria.